Denominator in dependency ratio ?
1. Age group < 15 years
2. Age group 15-65 years
3. Age group > 65 years
4. < 15 years and > 65 yeas

Correct answer: 2. Age group 15-65 years

Explanation: Ans. is 'b' i.e., Age group 15-65 years Dependency ratio The proportion of persons above 65 years of age and children below 15 years of age are considered to be dependent on the economically productive age group (15-64 years). The ratio of combined age group 0-14 years plus 65 years and above to the 15-65 years age group is known as total dependency ratio.